A patient presented with the extension of the MCP joint and flexion of IP which muscle is affected
1. Extensor digitorum
2. Abductor pollicis brevis
3. Abductor pollicis longus
4. Interossei and lumbricalis

Correct answer: 4. Interossei and lumbricalis

Explanation: Extension of MCP and flexion of IP joints is due to palsy of lumbrical and interossei muscles Action of lumbricals = flexion of Mcp,,extension of IP Tnt Action of palmar interossei =adduction of fingers Action of dorsal interossei =abduction of fingers ref : BD CHAURASIA